Most common organism causing neonatal meningitis is -
1. E. coli
2. Listeria
3. Pseudomonas
4. Staph aureus

Correct answer: 1. E. coli

Explanation: Ans. is 'a' i.e., E. coliAcute Bacterial meningitisCauses:o Neonatal periodE. coliStreptococcus pneumoniaeSalmonellaPseudomonaso 3 month - 3 yearsH. influenzaeS. pneumoniaeMeningococcuso Beyond 3 yearS. pneumoniaeMeningococcus